Age of eruption of Permanent 1st molar
1. 6 years
2. 8 years
3. 10 years
4. 12 years

Correct answer: 1. 6 years

Explanation: Ans. is 'a- i.e., 6 years Eruption of temporary teeth (Primary' dentition) Tooth Age in range (months) Average age (months) Lower Cl Upper Cl UpplerLI Lower LI I molar Canine II molar 6-8 7-9 7-9 10-12 12-14 17-18 20-30 7 8 8 11 13 17[?]5 25 Eruption of permanent teeth (Secondary dentition) Age in range (years) Average age (years) First Molar Central incisor Lateral incisor First PM Second PM Canine Second Molar Third molar 6-7 7-8 8-9 9-11 10-12 11-12 12-14 17-25 6[?]5 7 8 10 11 11 5 13 17